A 60-year-old alcoholic who sustained blunt trauma to his head due to assault is brought to the ER. HE opens his eyes to pain and speaks incomprehensible words when his sternum is pressed. He withdraws his hand to pain. His Glasgow Coma Score is-
1. 6
2. 8
3. 10
4. 12

Correct answer: 2. 8

Explanation: Ans. is 'b' i.e., 8 E-To pain +V- incomprehensible words + M- Withdraws to pain 2+2+4 A) Eye opening B) Verbal response C) Motor response Spontaneous 4 Oriented 5 Obeys commands 6 To Voice 3 Confused 4 Localises pain 5 To pain 2 Inappropriate words 3 Withdraws (pain) 4 None 1 Incomprehensible words 2 Flexion (pain) 3 None 1 Extension (pain) None 2 1 o A score of 7 or less is classed as coma o A score of 9 or more excludes coma